Sigma (s) subunit is present in:
1. 80 S subunit
2. RNA polymerase
3. Required for initiation of replication
4. DNA polymerase

Correct answer: 2. RNA polymerase

Explanation: RNA POLYMERASE DNA dependent RNA polymerase Complex holoenzyme with five polypeptides units Five polypeptides - 2 alpha , 1b , 1b' , one sigma Sigma subunit enables the core enzyme to recognize and bind the promoter region to form the preinitiation complex (PIC). b-Main catalytic activity b' binds to DNA template